Tumor invades muscularis propria and 2 lymph nodes involved. TNM staging is
1. T2 N1
2. T2 N2
3. T3 N1
4. T3 N2

Correct answer: 1. T2 N1

Explanation: T1 Invades submucosaT2Invades muscularis propriaT3Invades through the muscularis propria into pericolrectal tissuesT4aInvades through the visceral peritoneumT4bDirectly invades to adjacent organs or structuresN1aOne node positiveN1b2-3 nodes positiveN1cNo regional lymph nodes positive, but there are tumour deposits in the subserosa, Mesentry or non peritonealized pericolic/ perirectal/ mesorectal tissues N2a4-6 lymph nodes positiveN2b7 or more lymph nodes positiveM1aMetastasis to one site or organ, without peritoneal metastasisM1bMetastasis to 2 or more sites or organs without peritoneal metastasisM1c Metastasis to the peritoneal surface (alone or along with other site/organ)Ref: AJCC 8e